Following are true about HCO3-except:
1. Extracellular concentration 25 m mol
2. Intracellular concentration 10 m mol
3. 7.5% solution gives 2 nmols
4. In kidney, HCO3- is produced by carbonic anhydrase

Correct answer: 3. 7.5% solution gives 2 nmols

Explanation: C i.e. 7.5% solution gives 2n molsConcentration of bicarbonate- Intracellular : 10 mmoVLQ- Extracellular : 27 mmol/LQIn kidney bicarbonate is produced by carbonic anhydraseQ.